Lillys antidote does not contain
1. Sodium Nitrite
2. Amyl Nitrite
3. Sodium Thiosulfate
4. Dicobalt EDTA

Correct answer: 4. Dicobalt EDTA

Explanation: Lillys antidote Used for cyanide poisoning. Composition Sodium nitrite Amyl nitrite Sodium Thiosulfate